Which of the following immunoglobulins can cross placenta -
1. IgA
2. IgM
3. IgG
4. IgD

Correct answer: 3. IgG

Explanation: Ans is 'c' i.e., IgG Properties of different immunoglobulinso Only immunoglobulin which crosses placenta -IgGo All immunoglobulins are heat stable, except -IgE (only heat labile Ig)o Only immunoglobulin secreted by sero-mucinous glands-IgAo Immunoglobulins present in milk areIgA and IgGo Immunoglobulin to fix complement via alternate pathwayIgA & IgD & IgG (G4)o Immunoglobulin to fix complement via classical pathwayIgG and IgMo Immunoglobulin with maximum serum concentrationIgGo Antibody with least serum concentrationIgEo Immunoglobulin with maximum molecular weightIgMo Immunoglobulin with maximum sediment coefficientIgMo Immunoglobulin with least carbohydrateIgGo Immunoglobulin with maximum carbohydrateIgEo Immunoglobulin with maximum half lifeIgGo Immunoglobulin with minimum half lifeIgE